Injury of which of these nerve most commonly leads to vocal cord paralysis?
1. Recurrent laryngeal
2. External laryngeal
3. Internal laryngeal
4. Superior laryngeal

Correct answer: 1. Recurrent laryngeal

Explanation: Recurrent laryngeal nerve injury is the most common cause of vocal cord paralysis. It from the Vagus, travels further on the left where it loops around the arch of Aorta while on the right, it travels around the subclavian artery. Supplies all the muscles (posterior Cricoarytenoid, interarytenoid, lateral Cricoarytenoid, and Thyroarytenoid muscles) except for Cricothyroid.Laryngeal Nerve Paralysis: Three areas where damage can occurBrainstem NucleiCorticobulbar fibers start from the cerebral cortex and descend through the internal capsule and synapse at the nucleus ambiguus in the MedullaVagus NerveRecurrent Laryngeal Nerve is the commonest cause.Recurrent laryngeal nerve:Arises from the Vagus, travels further on the left where it loops around the arch of Aorta while on the right, it travels around the subclavian artery. The intrinsic muscles of the larynx, all of which are innervated by the recurrent laryngeal nerve, include the: 1. Posterior cricoarytenoid the ONLY abductor of the vocal folds. Functions to open the glottis by rotary motion on the arytenoid cartilages. Also tenses cords during phonation. 2. Lateral cricoarytenoid functions to close glottis by rotating arytenoids medially. 3. Transverse arytenoid only unpaired muscle of the larynx. Functions to approximate bodies of arytenoids closing posterior aspect of glottis. 4. Oblique arytenoid this muscle plus action of transverse arytenoid function to close laryngeal introitus during swallowing. 5. Thyroarytenoid - very broad muscle, usually divided into three parts:Thyroarytenoideus internus (vocalis) - adductor and major tensor of free edge of vocal fold.Thyroarytenoideus externus - major adductor of vocal foldThyroepiglotticus - shortens vocal ligamentsThe cricothyroid muscle is considered to be an extrinsic muscle of the larynx because it is innervated by the external branch of the superior laryngeal nerve. It functions to increase tension in the vocal folds, especially at the upper range of pitch or loudness.